After a modified radical mastectomy 36-year-old lady was unable to extend, adduct and internally rotate her arm. Which of the following muscle is paralysed in this patient?
1. Pectoralis major
2. Latissimus dorsi
3. Teres minor
4. Long head of triceps

Correct answer: 2. Latissimus dorsi

Explanation: Since this patient is unable to adduct, extend or internally rotate his arm, muscle most likely to be damaged is Latissimus dorsi. \\This muscle is innervated by thoracodorsal nerve which is damaged in modified radical mastectomy. Nerves commonly damaged following modified radical mastectomy are: - Thoracodorsal nerve - Long thoracic nerve - Intercostobrachial nerves - Medial and lateral thoracic nerves to pectoralis Damage to long thoracic nerve : Long thoracic nerve inervates serratus anterior. Serratus anterior provides stabilization of the scapula against the chest wall to create a foundation for scapular musculature to contribute and modify glenohumeral joint motion. Injury to this muscle result in winging of the scapula and compromised glenohumeral mechanics.